Monday chest tightness is characteristic of
1. Asbestosis
2. Coal worker's pneumoconiosis
3. Byssinosis
4. Silicosis

Correct answer: 3. Byssinosis